The pain around the hip with flexion, adduction & internal rotation of lower limb in a young adult after a road traffic accident is suggestive of-
1. Intracapsular fracture of the femoral neck
2. Extracapsular fracture of the femoral neck
3. Posterior dislocation of hip
4. Anterior dislocation of hip q

Correct answer: 3. Posterior dislocation of hip

Explanation: *Shortening, internal rotation, flexion and adduction at hip after a road traffic accident suggest the diagnosis of posterior dislocation of hip. Ref: Apley's 9th/e p.844